Uterine blood flow at term
1. 50-75 ml/min
2. 150-200 ml/min
3. 350-400 ml/min
4. 500-700 ml/min

Correct answer: 4. 500-700 ml/min

Explanation: Uterine blood flow is increased from 50 ml per minute in non-pregnant state to about 750 ml near term.